A mitochondrial marker enzyme is:
1. Aldolase
2. Amylase
3. Succinic dehydrogenase
4. Pyruvate dehydrogenase

Correct answer: 3. Succinic dehydrogenase

Explanation: Ans. C. Succinic dehydrogenaseList of marker enzymes for other cell organelles is given below:Subcellular FractionEnzymeMitochondriaSuccinate DehydrogenaseLysosomesAcid PhosphataseMicrosomesGlucose 6-Phosphate dehydrogenaseCytoplasmLactate dehydrogenaseNucleolusRNA Polymerase, RNAase, DNA Poly (Absent)NucleiMany enzymes but can't be assayed in the lab.